If in a person, Total Cholesterol=300 mg/dL, HDL= 25mg/dL and TG=150mg/dL, find out the value of LDL-
1. 245
2. 125
3. 95
4. 55

Correct answer: 1. 245

Explanation: Ans-ATotal cholesterol= LDL+HDL+{Triglycerides/5},Since LDL value is to be calculatedFormula for LDL VALUE IS LDL=Total cholesterol-,So,submitted the given values in question,TC=300,HDL=25,TG=150, So Ldl=300-=300-=300-55=245.Thanks to PrePg user Rithwik Karumuri for the explanation.